Nodes of Rouvier -
1. Retropharyngeal node
2. Parapharyngeal node
3. Adenoids
4. None

Correct answer: 1. Retropharyngeal node

Explanation: Ans. is 'a' i.e., Retropharyngeal node o Retropharyngeal nodes are divided into medial and lateral groups,o Most superior node of the lateral group is called the node of Rouviere.Also knowo Krause 's node Lymph nodes situated at the jugular foramen.